Brunners glands are seen in -
1. Jejunum
2. Upper duodenum
3. Lower duodenum
4. Appendix

Correct answer: 2. Upper duodenum

Explanation: B i.e., Upper duodenum The presence of mucous duodenal (Brunner's) glands in the submucosa is indicative of upper duodenumQ. These submucosal glands are absent in the jejunum, ileum & the entire large intestine.The histology of lower duodenum, jejunum, and ileum remains similar to that of the upper duodenum. The only differences are.- duodenal glands of Brunner are limited to upper part of duodenumQ- large aggregates of lymphatic nodules (Peyer's patches) are observed in lower regions of ileumQ